True statements about congenital megacolon include all of the following except:
1. Dilatation & hyper trophy of pelvic colon
2. Loud borborygmi
3. Symptoms appear with in 3 days following birth
4. Large stool

Correct answer: 4. Large stool

Explanation: S. Das writes - "The symptoms appear within 3 days of birth and the presenting features are as follows:


Constipation
Abdominal distention"


Nelson writes - "The clinical symptoms of Hirschprung disease usually begin at birth with the delayed passage of meconium."
Loud borborygmi are heard due to intestinal obstruction.
About stool, Nelson writes -

"The stools when passed may consist of small pellets, maybe ribbon-like or may have fluid consistency; the large stools and faecal soiling of patients with functional constipation are absent."
Also, know

a large faecal mass may be palpable in the left lower abdomen, but on rectal examination, the rectum is usually empty of faeces (faeces in rectum are found in functional constipation).